Hyperthyroidism in children is not associated with:
1. Periodontal destruction
2. Precocious eruption of teeth
3. Mandibular retrognathism
4. Osteoporosis

Correct answer: 3. Mandibular retrognathism